Which of the following vitamin is associated with manifestations of neurological problem
1. Vit A
2. Vit K
3. Folic acid
4. Cyanacobalamin

Correct answer: 4. Cyanacobalamin